Unconjugate hyperbilirubinemia is seen in ?
1. Physiological jaundice
2. Breast milk jaundice
3. Gilbert syndrome
4. All

Correct answer: 4. All

Explanation: Ans. is 'a' i.e., Physiological jaundice; 'b' i.e., Breast milk jaundice; 'c' i.e., Gilbert syndrome